Gastric lavage is contra–indicated in :
1. Salicylate poisoning
2. Kerosene poisoning
3. Morphine poisoning
4. Organophosphate poisoning

Correct answer: 2. Kerosene poisoning